Which of the following is an absolute contraindication for renal transplant?
1. Untreated malignancy
2. Age >65 years
3. HIV infection
4. Chronic hepatitis B or C

Correct answer: 1. Untreated malignancy

Explanation: Absolute contraindications to kidney transplantation Untreated malignancy Active infection Untreated HIV infection or AIDS Any condition where life expectancy is under two years Relative contraindications to kidney transplantation Comorbid condition Age >65 years Untreated coronary artery disease Obesity HIV infection Previous malignancy Chronic hepatitis B or C Ref: CLINICAL REVIEW, Renal transplantation, BMJ 2011;343:d7300 ; The Renal Association. Assessment of the potential kidney transplant recipient. 2011.